A 30-year-old male, Rajinder presents to OPD your office with fatigue, muscle weakness and headache. His blood pressure is 170/120 mm Hg and his heart rate is 100/min. Laboratory evaluation reveals hypokalemia, metabolic alkalosis and decreased plasma renin activity. On CT scan, a mass was noted on left suprarenal gland. Patient was prescribed a drug for few weeks and the symptoms subsided. Laboratory values and blood pressure returned to normal values. The likely drug given to this patient is?
1. Clonidine
2. Propanolol
3. Hydrochlorothiazide
4. Spironolactone

Correct answer: 4. Spironolactone

Explanation: (Ref: KK Sharma 2/e p233) Mosty likely diagnosis in this patient is aldosterone secreting tumor (adenoma) leading to primary hyperaldosteronism (Conn's Syndrome). Aldosterone excess will cause hypertension, hypokalemia, metabolic alkalosis and depressed renin. Aldosterone antagonists such as spironolactone or eplerenone can be used as medical therapy for Conn's syndrome.